Weber Fechner law is related to ?
1. Phantom limb
2. Force of contraction in heart
3. Intensity of stimulus and sensation felt
4. Cortical plasticity

Correct answer: 3. Intensity of stimulus and sensation felt

Explanation: Ans. is 'c' i.e., Intensity of stimulus and sensation felt